Saddleback/ biphasic fever is seen in:
1. Typhoid
2. Dengue
3. Brucellosis
4. Trench fever

Correct answer: 2. Dengue

Explanation: Ans. B i.e. Dengue